All of the following drugs are metabolized by acetylation except:
1. INH
2. Hydralazine
3. Procainamide
4. Metoclopromide

Correct answer: 4. Metoclopromide

Explanation: Ans. is 'd' i.e. Metoclopromide Acetylation is a phase II metabolic reactionPhase II reactions serves to attach a conjugate to the drug molecule. After the phase II reactions all drugs becomes water soluble, so that they can be readily eliminated from the body.Phase II reactions includesGlucuronidationAcetylationMethylationSulfationGlycine conjugation AcetylationDrugs having amino or hydrazine resides are conjugated with the help of acetyl coenzyme A. Examples are :S - SulfonamidesH- Hydralazine I -Isoniazid P-PASAcetylation is a genetically mediated condition.Multiple genes control the acetyl transferases and the rate of acetylation shows genetic polymorphism